Inlet of the larynx is formed by
1. True vocal cords
2. False vocal cords
3. Vocal folds
4. Aryepiglottic folds

Correct answer: 4. Aryepiglottic folds

Explanation: The laryngeal inlet is formed by- 1. Free margin of the epiglottis 2. Aryepiglottic folds 3. Inter arytenoid region. Ref: Hazarika; 3rd ed; Pg 572